Pars flaccida is also called as
1. Reissners membrane
2. Shrapnel membrane
3. Basilar membrane
4. Secondary tympanic membrane

Correct answer: 2. Shrapnel membrane

Explanation: Pars Flaccida- It is also called as SHARPNELL'S MEMBRANE It is situated above the lateral process of malleolus Reference-Dhingra 6/e,p 2.